The social engineering phase in public health is between the years:
1. 1880-1920
2. 1920-1960
3. 1960-1980
4. 1981-2000

Correct answer: 3. 1960-1980